All are antigen presenting cells except -
1. T-cells
2. B-cells
3. Langerhan's cell
4. Dendritic cells

Correct answer: 1. T-cells

Explanation: Ans. is 'a' i.e., T cells